Co enzyme for dopa decarboxylase?
1. Biotin
2. Vitamin B6
3. Vitamin C
4. B12

Correct answer: 2. Vitamin B6

Explanation: Ans. is 'b' i.e., Vitamin B6All decarboxylases require pyridoxin (vitamin B6)